Cerebellum supplied by
1. Vertebral artery
2. Basillar artery
3. Both
4. None

Correct answer: 3. Both

Explanation: Cerebellum supplied by Superior cerebellar artery - basillar artery branch Anterior inferior cerebellar - basillar artery branch Posterior inferior cerebellar artery - vertebral artery branch